Hypochloremic alkalosis is seen in:
1. Achalasia cardia
2. Congenital hypertrophic pyloric stenosis
3. Ureterosigmoidostomy
4. Diarrhea

Correct answer: 2. Congenital hypertrophic pyloric stenosis

Explanation: Ans. B: Congenital hypertrophic pyloric stenosis Blood tests in congenital pyloric stenosis reveals hypokalemic, hypochloremic metabolic alkalosis due to loss of gastric acid (which contain hydrochloric acid and potassium) persistent vomiting; these findings can be seen with severe vomiting from any cause. The potassium is decreased further by the body's release of aldosterone, in an attempt to compensate for the hypovolaemia due to the severe vomiting. Chronic hyperchloraemic metabolic acidosis occurs secondary to ureterosigmoidostomy.